Commonest site of Tubal pregnancy is
1. Ampulla
2. Isthmus
3. Fimbria
4. Interstitial

Correct answer: 1. Ampulla

Explanation: (Ampulla) (240- Shaw's 14th) (181-Dutta 6th)* Ampullary portion is the site of ectopic pregnancy in 80%, fimbrial end is the site in 6% isthmus in 12% and interstial in 2%* Commonest site - Ampulla. Least - Interstitial* In a tubal pregnancy, the most frequent inplantation site is the ampulla, because the plicae are most numerous in this situation, and previous salpingitis is more likely to produce crypts here than else where along the fallopian tube* Tubal abortion is the common mode of termination if implantation occurs in the ampulla or infundibulum* Tubal rupture is predominantly common in isthmic and interstitial implantation* Isthmic rupture usually occurs at 6 - 8 weeks the ampullary one at 8-12 weeks and the interstitial one at about 4 months